Hypercholesterolemia is commonly associated with:
1. Diabetes mellitus
2. hypothyroidism
3. Nephrotic syndrome
4. All of the above

Correct answer: 4. All of the above

Explanation: Ans. D: All of the above The following medical conditions are the causes of Hypercholesterolemia: Nephrotic syndrome Obstructive liver disease Anorexia nervosa Cushing's syndrome Familial Hypothyroidism Chronic renal insufficiency Diabetes mellitus